Which non depolarizing agent is a ganglion blocker –
1. Atracurium
2. Pancuronium
3. D–TC
4. Gallamine

Correct answer: 3. D–TC

Explanation: Non-depolarizing muscle relaxants causing ganglion blockade → d - tubocurarine (maximum propensity), metocurine, Alcuronium.

Remember

Maximum ganglion blockade and maximum histamine release is caused by → dTC.
Maxim um vagal block (max. vagolytic action) is caused by → Pancuronium (Previously it was gallamine, but it is not used now).